Complete failure of fusion of the mullerian duct leads to:
1. Uterus didelphys
2. Bicornuate uterus
3. Subseptate uterus
4. Unicornuate uterus

Correct answer: 1. Uterus didelphys

Explanation: Uterus didelphys - complete failure of fusion of Mullerian duct resulting in two uterus. - Most common type of uterus anomaly is septate uterus and cause spontaneous abortion in first trimester